Neuroblastomas: Good prognostic factor is
1. N-myc amplification
2. RAS oncogene
3. Hyperdiploidy
4. Translocations

Correct answer: 3. Hyperdiploidy

Explanation: Prognostic Factors in Neuroblastomas: Variable Favourable Unfavourable Stage Stage 1, 2A, 2B, 4S Stage 3,4 Age <18 months >18 months Evidence of Schwannian stroma and ganglionic differentiation Present Absent Mitosis-Karyorrhexis index <200/5000 cells >200/5000 cells DNA-ploidy Hyperdiploidy or near-triploid Near-diploid N-MYC Not amplified Amplified Chromosome 17q gain Absent Present Chromosome 1p loss Absent Present Chromosome 11q loss Absent Present TRKA expression Present Absent TRKB expression Absent Present Telomerase expression Low or absent Highly expressed Ref: Sabiston 20th edition Pgno: 1887